BRCA1 gene is located on?
1. Chromosome 12
2. Chromosome 21
3. Chromosome 17
4. Chromosome 22

Correct answer: 3. Chromosome 17

Explanation: BRCA1 gene is located on the chromosome 17. Mutations in the BRCA1, BRCA2, account for 80% of cases of familial breast cancer. In addition to breast cancer, women with BRCA1 mutation have a substantially higher risk of epithelial ovarian cancers & men have a slightly higher risk of prostate cancer. Likewise mutation in the BRCA2 gene increase the risk of breast cancer in both men & women as well as cancer of the ovary, prostate, pancreas, bile ducts, stomach & melanocytes. Ref: Robbins Basic Pathology ed 8 pg 205.